Which of the following is not a cause of features of primary hyperaldosteronism?
1. Cushing syndrome
2. Adrenal adenoma
3. Adrenal hyperplasia
4. Chronic CCF

Correct answer: 4. Chronic CCF

Explanation: Chronic CCF will lead to low GFR. The subsequent activation of RAAS will lead to increased renin and secondary aldosteronism. Causes of primary hyperaldosteronism : Conn syndrome (adrenal adenoma): 60% Bilateral adrenal hyperplasia (Micronodular): 60% Cushing syndrome Syndrome of apparent mineralocorticoid excess Adrenocortical carcinoma Congenital adrenal hyperplasia